Serial extraction was introduced by
1. Hawley adam
2. Frankel
3. Kjellgren
4. Nance

Correct answer: 3. Kjellgren